A 10 years old male with pain in left hip & limping on examination restricted abduction & internal rotation, probable diagnosis is -
1. Septic arthritis of hip
2. Tuberculous arthritis of hip
3. Congenital dislocation of hip
4. Perthes disease

Correct answer: 4. Perthes disease

Explanation: Amongst the given options restriction of abduction and internal rotation is seen only in Perthes disease.


About other options

In TB hip :-

i) Stage of synovitis :- Restriction of adduction, internal rotation & extension.
ii) Stage of arthritis :- Restriction of abduction, external rotation & extension.

Septic arthritis :- Restriction of adduction, internal rotation, extension in early stages.
Congenital dislocation of hip :- Restriction of abduction, external rotation.